Study of finger printing is -
1. DNA finger printing
2. Dactylography
3. Gene analysis
4. Poroscopy

Correct answer: 2. Dactylography

Explanation: Study of fingerprint is also known as dermatoglyphics or galtons system. Dr.K.S.Narayana Reddys Synopsis of Forensic Medicine & Toxicology 27th edition pg. 47.